A 10 year old boy presents with mucosal bleeding of 1 week duration. The investigation of choice that will be most useful in him is
1. Prothrombin time
2. Clotting time
3. Partial thromboplastin time
4. Platelet count

Correct answer: 4. Platelet count

Explanation: In case of platelate disorder site of bleeding is usually skin and mucous membrane. where as in coagulation disorder bleeding will be from soft tissue,muscle,joint and deep sites. Platelet count is the investigation of choice in this case . Reference: GHAI Essential pediatrics, 8th edition